Bisphosphonates act by
1. Increasing the osteoid formation
2. Increasing the mineralization of osteoid
3. Decreasing the osteoclast mediated resorption of bone
4. Decreasing the parathyroid hormone secretion

Correct answer: 3. Decreasing the osteoclast mediated resorption of bone

Explanation: Bisphosphonates (BPNs) are analogues of pyrophosphate: carbon atom replacing oxygen in the P-0-P skeleton. They inhibit bone resorption by inhibiting osteoclast function- useful to prevent osteoporosis in addition to metabolic bone diseases and hypercalcaemia. (REF.Essentials of Pharmacology TD TRIPATHI 6th EDITION page no 333)